Commonest type of vitiligo -
1. Vulgaris
2. Segmental
3. Acrofacial
4. Facial

Correct answer: 1. Vulgaris

Explanation: VITILIGOAcquired,idiopathic disorder characterised by hypomelanosis of skin and hair together with the development of white macules with an absence of melanocytes on microscopy. Lesions are described as achromic macules with leuchotrichia.Types:-1. Localised - segmental and focal. Segmental-one/ more macules distributed in dermatomal or quasi-dermatomal pattern. Focal-one/more macules distributed in a single area but not in a dermatomal pattern. 2. Generalised Vitiligo vulgaris- most common.Depigmented macules in symmetrical pattern. Acrofacial or acroorificial vitiligo Universalis- entire body with few islands of pigmentation {Reference: IADVL textbook of dermatology page 752